Glucogenic amino acid is-
1. Leucine
2. Lysine
3. Glutamine
4. None

Correct answer: 3. Glutamine

Explanation: Ans. is 'c' i.e.. Glutamine GlucogenicKetogenicBoth glucogenic & ketogenico Alanineo Arginineo Aspargineo Aspartic acido Cysteineo Glutamineo Glutamic acido Glycineo Histidineo Methionineo Prolineo Serineo Threonineo Valineo Leucineo Lysineo Isoleucineo Phenylalaineo Tyrosineo TryptophanNote : According to Harper 29PSh/'e (P-282), lysine is both ketogenic and glucogenic. But all other textbooks have mentioned it as ketogenic.